A child who can ride a tricycle, uses alternate steps while climbing stairs has attained a development age of:
1. 2 years
2. 3 years
3. 4 years
4. 5 years

Correct answer: 2. 3 years

Explanation: Ans. B. 3 yearsAt 3 years a child will be able to: ride a tricycle, use alternate steps while climbing stairs Shares toys, knows full name and gender